Compared with cow's milk, mother's milk has more -
1. Lactose
2. Vitamin D
3. Proteins
4. Fat

Correct answer: 1. Lactose

Explanation: Lactose content in cows milk-4.4g ,breast milk-7.4g per 100grams.REF.PARK'S TEXTBOOK OF PREVENTIVE AND SOCIAL MEDICINE.Editon-21.Page no.-582 table 21